Vaccine which requires stringent condition for storage
1. DPT
2. OPV
3. BCG
4. TT

Correct answer: 2. OPV

Explanation: (Refer: K. Park's Textbook of Preventive and Social medicine, 24th edition, pg no: 222)